Which of the following events is most likely to result in post-traumatic stress disorder (PTSD)?
1. Divorce
2. Bankruptcy
3. Diagnosis of diabetes mellitus
4. Robbery at knifepoint

Correct answer: 4. Robbery at knifepoint

Explanation: Robbery at knifepoint, a life-threatening event, is most likely to result in post-traumatic stress disorder (PTSD). While life events such as divorce, bankruptcy, illness, and changing residence are stressful, they are rarely life-threatening. Psychological symptoms occurring after such less severe events may result in adjustment disorder, not PTSD.